All are features of rosacea keratitis except:
1. Corneal vascularisation
2. Associated blepharoconjunctivitis
3. Central superficial ulcer
4. Progresses to involve the whole cornea

Correct answer: 3. Central superficial ulcer

Explanation: Ans. Central superficial ulcer